1-2-3 sign or Pawnbrokers sign is seen in
1. Kaposi sarcoma
2. Sarcoidosis
3. Castleman's disease
4. Wegners Granulomatosis

Correct answer: 2. Sarcoidosis

Explanation: Garland triad, also known as the 1-2-3 sign or Pawnbrokers sign, is a lymph node enlargement pattern which has been described in Sarcoidosis: Right paratracheal nodes; Right hilar nodes and Left hilar nodes. Hilar lymphadenopathy is symmetrical and usually massive.